BCG is used in tumour therapy -
1. Bladder
2. Stomach
3. Oesophagus
4. Colon

Correct answer: 1. Bladder

Explanation: Ans. is 'a' i.e., Bladder